Primary action of superior oblique is-
1. Intorsion
2. Depression
3. Adduction
4. Abduction

Correct answer: 1. Intorsion

Explanation: There are six extraocular muscles in each eye.